Serum amylase level is increased in all of the following except:
1. Intestinal obstruction
2. Perforated ulcer
3. Acute pancreatitis
4. Acute appendicitis

Correct answer: 4. Acute appendicitis

Explanation: Ans. D: Acute appendicitis Increased amylase levels may indicate: - Acute pancreatitis - Cancer of the pancreas, ovaries, or lungs - Cholecystitis - Infection of the salivary glands (such as mumps) or an obstruction - Intestinal obstruction - Macroamylasemia Pancreatic or bile duct obstruction - Perforated ulcer - Tubal pregnancy (may be ruptured) - Viral gastroenteritis Decreased amylase levels may indicate: - Damage to the pancreas - Kidney disease - Pancreatic cancer - Toxemia of pregnancy Drugs that can increase amylase measurements include: - Asparaginase - Aspirin Birth control pills - Cholinergic medications - Corticosteroids - Indomethacin - Loop and thiazide diuretics - Methyldopa - Opiates (codeine, morphine) - Pentazocine